Confluent areas of pancreatic parenchyma that do not demonstrate enhancement after the administration of intravenous (IV) contrast material is known as:
1. Pseudocyst
2. walled off pancreatic necrosis
3. Acute peripancreatic fluid collection
4. Pancreatic necrosis

Correct answer: 4. Pancreatic necrosis

Explanation: Pancreatic necrosis is defined as confluent areas of pancreatic parenchyma that do not demonstrate enhancement after the administration of (IV) contrast material. Pseudocyst is with a well defined wall with fluid inside. Walled off pancreatic necrosis happens after 4 weeks of acute pancreatic necrosis. Acute peripancreatic fluid collection is outside the pancreas. Ref: ACR Appropriateness Criteria,Acute Pancreatitis.